Zafirlukast acts by blocking the action of :
1. Prostacyclin
2. Platelet activating factor
3. Leukotriene B4
4. Leukotriene C4/D4

Correct answer: 4. Leukotriene C4/D4